Which of the following behavioural problems would suggest an organic brain lesion
1. Formal thought disorder
2. Auditory hallucinations
3. Visual hallucinations
4. Depression

Correct answer: 3. Visual hallucinations

Explanation: Visual hallucinations are more common in acute organic states with clouding of consciousness than in functional psychosis. Visual hallucinations are extremely rare in schizophrenia, so much so that they should raise a doubt about the diagnosis. Fish's Clincal Psychopathology 3rd edition, pages 23,24.